Cornification Index is maximum in :
1. Early secretory phase
2. Late proliferative phase
3. Late secretory phase
4. Early proliferative phase

Correct answer: 2. Late proliferative phase

Explanation: Late proliferative phase